Which of the following general anesthetics is given by intravenous route?
1. Propofol
2. Sevofluorane
3. Naloxone
4. Flumazenil

Correct answer: 1. Propofol

Explanation: Propofol  
Currently, propofol has superseded thiopentone as an i.v. anaesthetic, both for induction as well as maintenance. It is an oily liquid employed as a 1% emulsion.